True about N2O:
1. Pin index 3,5
2. Blue in colour
3. Stored as liquid
4. All

Correct answer: 4. All

Explanation: A. i.e. Pin index 3, 5 B. i.e. Blue in colour, C. i.e. Stored as liquid